Bactericidal inhibitors of protein synthesis are:
1. Tetracyclines
2. Aminoglycosies
3. Macrolides
4. Lincosamides

Correct answer: 2. Aminoglycosies

Explanation: (Ref: KDT 6/e p669) Most protein synthesis inhibiting antibiotics are bacterostatic but aminoglycosides are bactericidal.